Acantholysis means
1. Diffuse epidermal hyperplasia
2. Loss of intercellular connections
3. Intercellular edema of the epidermis.
4. Abnormal keratinization

Correct answer: 2. Loss of intercellular connections

Explanation: Answer is option 2, loss of intercellular connections We performed scanning electron microscopy of an inverted blister roof in a case of pemphigus foliaceus. The loss of intercellular adherence could be easily seen with low magnification. The acantholytic keratinocytes displayed an irregular and sometimes polygonal contour. Round cells, typically seen in light microscopy, were also observed. The examination of a blister roof allows ultrastructural documentation of the acantholytic changes.